A 32 year old female underwent whole-brain irradiation therapy following tumor growth in the brain. Most common hormone deficiency seen after intracranial radiation therapy is:
1. Prolactin
2. Gonadotropins
3. ACTH
4. Growth hormone

Correct answer: 4. Growth hormone

Explanation: Up to two-thirds of patients with cranial irradiation ultimately develop hormone insufficiency after a median dose of 50 Gy (5000 rad) directed at the skull base. The development of hypopituitarism occurs over 5-15 years and usually reflects hypothalamic damage rather than primary destruction of pituitary cells. Although the pattern of hormone loss is variable, GH deficiency is most common, followed by gonadotropin and ACTH deficiency. Ref: Melmed S., Jameson J.L. (2012). Chapter 339. Disorders of the Anterior Pituitary and Hypothalamus. In D.L. Longo, A.S. Fauci, D.L. Kasper, S.L. Hauser, J.L. Jameson, J. Loscalzo (Eds), Harrison's Principles of Internal Medicine, 18e.